Antidepressant drug used in nocturnal eneuresis is -
1. Imipramine
2. Fluoxetine
3. Trazdone
4. Sertaline

Correct answer: 1. Imipramine

Explanation: Drugs used in nocturnal enuresis are imipramine and desmopressine.